Colour vision is by:
1. Rods
2. Cones
3. Occipital cortex
4. Bipolar cells

Correct answer: 2. Cones